A bactericidal drug would be preferred over a bacteriostatic drug in a patient with :
1. Neutropenia
2. Cirrhosis
3. Pneumonia
4. Heart disease

Correct answer: 1. Neutropenia

Explanation: Bactericidal drugs kill the bacteria whereas bacteriostatic drugs only inhibit bacterial growth. Bacteriostatic activity is adequate for the treatment of most infections, the bactericidal activity may be necessary for a cure in patients with altered immune systems like neutropenias, HIV and other immunosuppressive conditions.